Stratified sampling is ideal for
1. Hetergenous data
2. Homogenous data
3. Both
4. None

Correct answer: 1. Hetergenous data

Explanation: Ref:Park's Textbook of Preventive and Social Medicine 25th Ed